Time takan for any project is estimated by -
1. Work sampling
2. Input\/output analmysis
3. Network analysis
4. System analysis

Correct answer: 3. Network analysis

Explanation: The essence of PE is to construct an Arrow Diagram. The diagram represents the logical sequence in which events must take place.It is possible with such a diagram to calculate the time by which each activity must be completed and to identify those activities that are critical (refer pgno:872 park 23 rd edition)